Disseminated intravascular coagulation (DIC) is characterized by the following except
1. Widespread bleeding\/thrombosis
2. Prolongation of prothrombin time\/partial thromboplastin time
3. High levels of fibrin degradation products
4. High platelet count

Correct answer: 4. High platelet count

Explanation: DIC is characterised by bleeding & organ damage due to ischemia caused by the effect of widespread intravascular thrombosis. Platelet count is reduced due to platelet aggregation & adhesion as a result of endothelial injury. Prothrombin time & activated partial thromboplastin time are prolonged due to reduced fibrinogen. Fibrinogen is reduced due to consumption in microvascular coagulation. Fibrin degradation products are raised due to secondary fibrinolysis.Reference :Harsh mohan textbook of pathology sixth edition pg no 338.